The team to diagnose brainstem death is constituted by all except
1. Forensic or Legal medicine specialist
2. The physician treating the patient
3. Neurosurgeon or neurophysician
4. The physician incharge of the hospital

Correct answer: 1. Forensic or Legal medicine specialist

Explanation: Answer: a) Forensic or Legal medicine specialist (W PILLAY 17th ED P-136)BRAIN DEATHUK criteria for diagnosis of brain deathPreconditions* Patient deeply comatose* Patient on ventilator (spontaneous respiration had ceased)* Diagnosis of the disorder leading to brain death has been firmly establishedExclusions* Hypothermia (rectal temperature >35deg C)* Coma not due to depressant drugs (narcotics, hypnotics, tranquilizers)* Neuromuscular blocking agents, excluded as a cause for RS failure* No profound abnormality of serum electrolytes, acid base balance, glucose concentrations and any metabolic and endocrine cause of coma has been excludedBrain stem death is certified by a Board of Medical Experts consisting ofi. The registered medical practitioner treating the person whose brain-stem death has occuredii. The registered medical practitioner in charge of the hospitaliii. Neurologist/Neurosurgeoniv. An independent medical specialist